Sacrotuberous ligament is pierced by-
1. S1 nerve
2. L1 nerve
3. Coccygeal nerve
4. None

Correct answer: 3. Coccygeal nerve

Explanation: Ans. C. Coccygeal nerveSacrotuberous ligamenta. The sacrotuberous ligament is attached by its broad base to the posterior superior iliac spine., the posterior sacroiliac ligaments (with which it is partly blended), to the lower transverse sacral tubercles and the lateral margins of the lower sacrum and upper coccyx.b. Its oblique fibres descend laterally, converging to form a thick, narrow band that widens again below and is attached to the medial margin of the ischial tuberosity. It then spreads along the ischial ramus as the falciform process, whose concave edge blends with the fascial sheath of the internal pudendal vessels and pudendal nerve.c. The lowest fibres of gluteus maximus are attached to the posterior surface of the ligament; superficial fibres of the lower part of the ligament continue into the tendon of biceps femoris.d. The ligament is pierced by the coccygeal branches of the inferior gluteal artery, the perforating cutaneous nerve and filaments of the coccygeal plexus.